Most common cause of hemobilia is
1. Carcinoma
2. Iatrogenic trauma
3. Blunt trauma
4. Cirrhosis

Correct answer: 2. Iatrogenic trauma

Explanation: Hemobilia is bleeding commonly from the liver or occasionally from the gallbladder into the biliary tract.Accidental trauma,iatrogenic trauma (50%) is the most common cause.In accidents,Hemobilia is more commonly caused by blunt trauma than penetrating one.Other causes include Vascular diseases of hepatic artery,malignant and benign liver diseases,portal hypertension,parasitic liver diseases,etc. Reference:SRB's manual of surgery,5th edition,page no:662